1925. Causes of secondary polycythemia may include
1. Chronic cor pulmonale
2. Renal carcinoma
3. Cerebellar haemangioblastoma
4. All of the above

Correct answer: 4. All of the above

Explanation: Secondary polycythaemia occur due to high altitude,cardiovascular disease ,pulmonary disease with alveolar hypoventilation,heavy smoking,inappropriate erythropoietin(renal cell carcinoma ,hydronephrosis,hepatocellular carcinoma ,cerebellar hemangioblastoma ,massive uterine leiomyoma.). Reference :Harsh mohan textbook of pathology sixth edition pg no 359.